If rapidly progressive cancers are missed by a screening test, which type of bias will occur?
1. Lead-time bias
2. Length bias
3. Selection bias
4. Surveillance bias

Correct answer: 2. Length bias

Explanation: Length time bias is a form of selection bias Fast-growing tumours generally have a shorter asymptomatic phase than slower-growing tumours. Thus, there is a shorter period of time during which the cancer is present in the body. As a result, if the same number of slow-growing and fast-growing tumours appear in a year, the screening test detects more slow-growers than fast-growers. If the slow-growing tumours are less likely to be fatal than the fast growers, the people whose cancer is detected by screening do better Ref : Park 23rd edition Pgno : 74